Sturge Weber syndrome is associated with
1. Po wine staine
2. Cavernous hemangioma
3. Lymphangioma
4. Haemangiosarcoma

Correct answer: 1. Po wine staine

Explanation: Sturge Weber syndrome is manifested at birth by port wine stain forehead and upper eyelid of one side of the face. Refer robbins 9/e p196